Cyst seen in vagina are all except:
1. Nebothian cyst
2. Gartner's cyst
3. Bartholin's cyst
4. Inclusion cyst

Correct answer: 1. Nebothian cyst

Explanation: Ans: A (Nebothian cyst) Ref: Shows Textbook of Gynecology 15th ed pg 136Explanation:VAGINAL CYSTSVaginal cysts are rare and are located more commonly in anterior vaginal wallGartner's cystArises from remnants of mesonephric ductLies in anterolateral aspect of vaginal wallSmall cyst is asymptomaticLarge cyst causes dyspareuniaLarge symptomatic cysts requires excisionInclusion cystSeen in lower end of vagina on its posterior surface.It is caused by tags of mucosa embedding inside the scar that later forms a cystBartholin cyst--Extends into vaginaEndonietriotic cystBluish bulge in posterior fornix.It is treated with either danazol or surgical excisionA Nabothian Cyst lor Nabothian Follicle)It is a mucus-filled cyst on the surface of the cervix.They are most often caused when stratified squamous epithelium of the ectocervix grows over the simple columnar epithelium of the endocervix (Metaplasia).This tissue growth can block the cervical crypts, trapping cervical mucus inside the crypts.